Gallows Traction is used for
1. Fracture shaft tibia in children
2. Fracture shaft femur in children
3. Fracture shaft tibia in adults
4. Fracture shaft Femur in adults

Correct answer: 2. Fracture shaft femur in children

Explanation: Conservative management of femur fractures in children0-2 years:- Plaster spica or modified Bryant or Gallows traction or Pavlick harness (<6 month of age)2-10 years:- Split Russell traction10-15 years:- 90-90 degree femoral skeletal traction(Refer: Mohindra's Fundamentals of Orthopedics, 2nd edition, pg no. 23, 531)